Which one of the following is the most sensitive and specific screening test to detect breast cancer -
1. Regular X-ray
2. Self breast examination
3. Mammography
4. Regular biopsy

Correct answer: 3. Mammography

Explanation: Mammography is the most sensitive and specific in detecting small tumors that are sometimes missed in palpation. Ref- Park's textbook of Preventive and social Medicine 24th edition. .